Best index for measuring contraceptive efficacy is
1. Pearl index
2. Life-table analysis
3. Chandler's index
4. Quetlet index

Correct answer: 2. Life-table analysis

Explanation: Life table analysis : Calculates a failure rate for each month of use Cumulative failure rate can then compare methods of any specific length of exposure Women who leave a study for any reason other than unintended pregnancy are removed from analysis, contributing their exposure until the time of exit Reference : Park's textbook of preventive and social medicine, 23rd edition, Page no: 510